Hirschsprung disease has association with which of the following conditions?
1. Von Hippel Lindau
2. MEN I
3. MEN 2A
4. MEN 2B

Correct answer: 3. MEN 2A

Explanation: Small number of patients with MEN 2A have associated Hirschsprung disease. In MEN2A/Hirschsprung disease variant aganglioneuromatosis may be found throughout the colon or in smaller segments. Characteristic features of MEN 2A are medullary carcinoma of thyroid, pheochromocytoma and parathyroid adenoma. Ref: Harrisons Internal Medicine, 16th Edition, Chapter 295, Pages 2231-34.